Spalding sign is seen in:
1. Drowning
2. Mummification
3. Maceration
4. Starvation

Correct answer: 3. Maceration

Explanation: Ans. c. MacerationSpalding sign seen in maceration.After the death of the foetus, the loss of alignment and overriding of the cranial bones occurs due to shrinkage of the cerebrum.When fetal death occurs due to the deficient blood supply at that time mummification occurs. Mummified bodied are Odourless.PM appearance in Starvation: Rigor mortis sets in and disappears early.